Apart from occurring in nucleic acids, pyrimidines are also found in:
1. Theophylline
2. Theobromine
3. Flavin mononucleotide
4. Thiamine

Correct answer: 4. Thiamine

Explanation: D i.e. Thiamine